Which of the following is a difference between herpangina and primary herpetic stomatitis:
1. It is preceded by prodromal symptoms
2. It is unilateral in nature
3. Ulcers relationship seen on the anterior faucial pillars
4. Viral etiology

Correct answer: 3. Ulcers relationship seen on the anterior faucial pillars